A large exposure of pulp within 24 hours is treated by
1. Pulpotomy
2. Pulpectomy
3. Indirect PC
4. Direct PC

Correct answer: 1. Pulpotomy